Gingival clefts may be caused by
1. Occlusal disharmonies
2. Faulty toothbrushing
3. Normal frenum attachment
4. Use of dental floss

Correct answer: 2. Faulty toothbrushing